All of the following are components of Epidemiological triad except -
1. Environment
2. Agent
3. Host
4. Manpower

Correct answer: 4. Manpower

Explanation: Ans. is 'd' i.e., Manpower Epidemiological triado The occurrence and manifestations of any disease, whether communicable or noncommunicable, are determined by the interaction of following three factors.The agentThe hostThe environmento These three factors together constitue the epidemiological triad.o Mere presence of these factors does not cause disease, interaction of these three is required for causation of a disease.The triangle of epidemiologyo The triangle of epidemiology shows the interaction and interdependance of agent, host, environment and time (It is different from epidemiological triad which does not contain time, but contain other three components).Advanced model of the triangle of Epidemiologyo This new model includes all facets of the communicable disease model. The term 'agent' is replaced by causativefactors and this model show's the interaction of: - (i) Causative factors; (ii) Group ofpopulation and their characteristic; (iii) Environment behaviour, culture, physiological factors, ecological elements;and (iv) time.